A child of 10 years has a mental age of 2 years, his IQ level is:-
1. 20 IQ points
2. 30 IQ points
3. 50 IQ points
4. 70 IQ points

Correct answer: 1. 20 IQ points

Explanation: IQ = Mental age /Chronological age x 100 In the given question, chronological age is 10 years and mental age is 2 years. Thus, IQ level of this child= 2/10 x100=20 IQ points. Such a child will be an Idiot child with Severe intellectual disability. Normal IQ 70 or above Mild intellectual disability = 50-70 Moderate intellectual disability = 35-49 Severe intellectual disability = 20-34 Profound intellectual disability = <20